Bronchiectasis sicca is seen with:
1. TB
2. Pertussis
3. Cystic fibrosis
4. Kartagener syndrome

Correct answer: 1. TB

Explanation: Bronchiectasis sicca- all features of bronchiectasis but absence of copious amount of sputum which is usually a hallmark of bronchiectasis. HRCT chest shows abnormal dilation of the tracheal bronchial tree ; it is present without infective sputum and occurs due to tuberculosis.